Birbeck granules in cytoplasm is seen in ?
1. Langerhans cell histiocytosis
2. Hodgkin's lymphoma
3. Non hodgkins lymphoma
4. Gastrointestinal stromal tumor

Correct answer: 1. Langerhans cell histiocytosis

Explanation: Ans. is 'a' i.e., Langerhans cell histiocytosis Birbeck granules are characteristic of langerhans cell histiocytosis Tumour cells in the langerhan's cell histiocvtosis are derived from dendritic cells and express : S-100 CD1a HLA-DR These cells are characterized by the presence of birbeck granules in their cytoplasm unde he electron microscope, Birbeck granules have pentalaminar, rodlike tuular appearance and sometimes a dilated terminal end (tennis-racket appearance)